------- is a bridge between generations and a transfer point of civilization
1. School
2. Orphanage
3. Family
4. Recreational club

Correct answer: 3. Family

Explanation: The family is a bridge between generations and between father and sons. It is the transfer point of civilization. The culture patterns relating to eating, cleanliness, dress, speech, language, behaviour, and attitudes are all transmitted through the family.Park 23e pg: 684